Which of the following test is useful to distinguish between Insulinoma and Sulfonylurea related hypoglycemia:
1. Antibody to Insulin
2. Plasma - C- peptide level
3. Plasma Insulin level
4. None

Correct answer: 4. None

Explanation: Answer is None (None of the above): Insulinomas and Sulfonylureas, both produce endogenous hyperinsulinemia leadink to the same biochemical pattern. These can only be distinguished by directly measuring the drug concentration of sullOnylureas in the plasma 'It is necessary to screen the plasma for sulphonylureas and other insulin secretagogues (repaglinide, nateglinide) at the time of hypoglycemia since these produce an insulin, C- peptide,, proinsulin and glucose pattern, indistinguishable from that produced by an insulinoma' - Harrison Biochemical Patterns In Patients With Various Causes Of Hyperinsulinemic Hypoglycmia